Ratio of incidence among exposed and non exposed is known as ?
1. Risk ratio
2. Odds ratio
3. Attributable risk
4. SAR

Correct answer: 1. Risk ratio

Explanation: Ans. is 'a' i.e., Risk ratio Relative risk (risk ratio) Relative risk is the ratio of the incidence of the disease (or death) among exposed and the incidence among nonexposed.